Half life of iodine 131 is?
1. 6 days
2. 4 hours
3. 8 days
4. 13.5 hours

Correct answer: 3. 8 days

Explanation: lodine 131 is used for radioiodine ablation.